Antibodies against sperms may develop after:
1. Trauma
2. Infection
3. Vasectomy
4. Orchidectomy

Correct answer: 3. Vasectomy

Explanation: C i.e. Vasectomy 50% of men who have been vasectomized develop antibodies against spermatozoaQ. This holds significance, as because of these antibodies reversal of vasectomy may not restore fertility, even when the reversal is successful.